A patient died of alzheimer's disease. At autopsy, heart contains yellow brown finely granular pigment which are/due to:
1. Hemosiderin-iron overload
2. Lipochrome-wear and tear
3. Glcoge-gylcogen storage disorder
4. Fat-athlerosclerosis

Correct answer: 2. Lipochrome-wear and tear

Explanation: Ans. (b) Lipochrome-wear and tear(Ref: Robbins 9th/pg 64; 8th/pg37)* Lipofuschin: Perinuclear Q brown-coloured pigment, Seen in aging Q, protein energy malnutrition Q and cancer cahcexia.